Oochronosis occurs in: (Repeat)
1. Alkaptonuria
2. Isovaleric aciduria
3. Phenyl ketonuria
4. Tyrosinemia

Correct answer: 1. Alkaptonuria

Explanation: Ans: A (Alkaptonuria) Ref: Harrison's Principles of Internal Medicine, 18th ed.Explanation:AlkaptonuriaAutosomal RecessiveDue to deficiency of homogentisic acid oxidaseClinical featuresOochronosisArthritisCardiac valve involvementCoronary artery calcification Pigmented heart valves, sclera, joint, skin & renal calculiUrine darkens on standingNitisinone used to reduce urinary excretion of homogentisic acid